For the population of 10000, Trench method sanitary landfill pit of depth 2m is to be constructed. How much area is required per year?
1. 1 acre
2. 2 acres
3. 3 acres
4. 4 acres

Correct answer: 1. 1 acre

Explanation: Trench method sanitary landfill with depth of 2 m (6 feet ), it is estimated that one acre of land per year will be required for 10,000 population. Trench method is also known as Below Ground Landfill. Collected Waste is disposed inside excavated trench and is covered-up with a layer of soil. This method is suitable only for small quantity of waste.